In apoptosis which is/are involved -
1. Apaf-1
2. Bc12
3. Caspases
4. All

Correct answer: 4. All

Explanation: Ans. is 'a' i.e., Apaf-1; 'b' i.e., BCl2; 'c' i.e., Caspases